Normal portal venous pressure is ?
1. 1-2 mmHg
2. 5-7 mmHg
3. 10-12 mmHg
4. 15-17 mmHg

Correct answer: 2. 5-7 mmHg

Explanation: Ans. is 'b' i.e., 5-7 mmkgThe portal vein is about 8 cm long.It is formed by union of superior mesenteric vein and splenic vein behind the neck of pancreas at the level of 1_,,, vertebrae in front of inferior vena cava (IVC).The blood flow in portal vein is slow and there are no valves in portal vein.There is stream line flow, i.e. blood in superior mesenteric vein drains into right lobe of liver and blood in splenic vein (receiving inferior mesenteric vein) drains into left lobe.Normal portal venous pressure is 4-10mmHg. Portal hypertension is defined as a pressure > 12 mmHg.